Mitochondrial DNA (mt- DN(A) is known for all except -
1. Maternal inheritance
2. Heteroplasmy
3. Leber hereditary optic neuropathy is the prototype
4. Nemaline myopathy results due to mutations in mt- DNA

Correct answer: 4. Nemaline myopathy results due to mutations in mt- DNA

Explanation: Ans. is 'd' i.e., Nemaline myopathy results due to mutations in mt- DNA o Nemaline myopathy is not a mitochondria] disorder. o Mitochondrial DNA is always maternally inherited. o Heteroplasmy is the presence of mixture of more than one type of an organelle genome (mt- DNA) within a cell or individual. It is a factor for the severity of mitochondrial disease, since every eukaryotic cell contains many hundreds of copies of mt- DNA; it is possible and indeed very frequent for mutations to affect only some of the copies, while the remaining ones are unaffected.